During removal of a parotid tumour, the auriculotemporal nerve is injured. This could result in:
1. Facial paralysis
2. Trigeminal neuralgia
3. Gustatory sweating
4. Orolingual paraesthesia

Correct answer: 3. Gustatory sweating